Glucose intolerance is caused by the deficiency of?
1. Selenium
2. Magnesium
3. Chromium
4. Zinc

Correct answer: 3. Chromium

Explanation: Chromium acts as a cofactor for insulin at insulin receptors and dietary deficiency of chromium would thus lead to impaired glucose tolerance.